Relative risk formula
1. Incidence of disease among non-exposed divided By Incidence of disease among exposed
2. Incidence of disease among non-exposed minus Incidence of disease among exposed
3. Incidence of disease among exposed divided by Incidence of disease among non-exposed
4. Incidence of disease among exposed minus Incidence of disease among non-exposed

Correct answer: 3. Incidence of disease among exposed divided by Incidence of disease among non-exposed

Explanation: Estimation of disease risk associated with exposure is obtained by an index known as "Relative Risk" (RR) or '"risk ratio" , which is defined as the ratio between the incidence of disease among exposed persons and incidence among non-exposed. It is given by the formula: Incidence among exposed/ incidence among non exposed. Ref:- park; pg num :- 81